A 14-year-old boy present with headache, fever, and cough for 2 days. Sputum is scant and non-purulent and gram stain reveals many white cells but no organisms. The treatment should be initiated with :
1. Cefazolin
2. Erythromycin
3. Amikacin
4. Trovafloxacin

Correct answer: 2. Erythromycin